Which of the following is the most sensitive method for detecting cervical Chlamydia trachomatis infection?
1. Direct fluorescent antibody test
2. Enzyme immunoassay
3. Polymerase chain reaction
4. Culture on irradiated McConkey cells

Correct answer: 3. Polymerase chain reaction

Explanation: PCR and LCR are both sensitive and specific methods for detecting cervical Chlamydia trachomatis infection in women. Nucleic acid amplification test is the most sensitive method for detecting Chlamydia trachomatis in endocervical samples (CDC2002). PCR is a method to amplify minute amounts of genetic material. The reaction can thus be used for detecting very tiny amounts of pathogen. Prerquisite is the preparation of pathogen specific DNA primer. Ref: Women's Gynecologic Health By Kerri Durnell Schuiling, Page 131 ; Microbial Pathogenesis: A Principles-Oriented Approach, 1st Edition, By Bruce A. McClane, Page 156 ; Rapid Detection of Infectious Agents By Steven Specter, Page 87 ; Infections in Obstetrics and Gynecology: Textbook and Atlas By Eiko E. Petersen, Page 35